Fat mesentry is sent for investigation in which poisoning-
1. Carbon monoxide
2. Organophosphorous
3. Arsenic
4. Lead

Correct answer: 2. Organophosphorous

Explanation: Ans. is 'b' i.e., Organophosphorous For organophosphorous (pesticides/insecticides) poisoning fatty tissue from abdominal wall, perinephric fat and brain are preserved. The viscera should be preserved in cases of suspected poisoning and must be send for toxicological examination. The viscera are preserved according to suspected poison : Brain (100 gm of cerebrum or cerebellun) : Carbon monoxide, cyanide, organophosphates, organic volatile poisons, opiates, barbiturates, alkaloids, strychnine (nux vomica). Spinal cord (entire length) : Strychnine. Heart : Strychnine, digitalis. Lung (one) : Gaseous poison (e.g. CO), alcohol, chloroform, cyanide. Bone (10 cm shaft femur) : Subacute and chronic poisoning by heavy metals, e.g. arsenic, antimony, radium, thallium. Hair (20-30 in number or 5 gm) and nails (all finger and toe) : Subacute and chronic poisoing by heavy metals, e.g. arsenic, antimony, radium, thallium. Uterus, its appendages and upper part of vagina : Criminal abortion. Fat (10 gm from abdomen or perinephric region) : Pesticides and insectisides. Vitreous humor : Alcohol, chloroform. Bile : Glutathione, cocaine, barbiturates, methadone, narcotics. Skin : Injection of insulin, morphin, heroin, cocain etc. Urine : Alcohol, barbiturate and opium.